True statement about gall stones are All/EXCEPT
1. Lithogenic bile is required for stone formation
2. May be associated with carcinoma gall bladder
3. Associated with diabetes mellitus
4. More common in males between 30 - 40 years of age

Correct answer: 4. More common in males between 30 - 40 years of age

Explanation: Though Cholelithiasis can occur in both sexes from childhood to the centenarian (people in their 100), it is more common in females. A 'fat, fertile, flatulent, female of fifty' is the clinical sufferer from symptomatic gallstones. Lithogenic bile : is required for the formation of mixed stone and cholesterol stones. Bile contain cholesterol, insoluble in water and held in solution by detergent action of bile salts & phospholipids. When there is excess of cholesterol relative to bile salts & phospholipids, cholesterol gets precipitated to form gall stones. Such a bile is termed supersaturated or lithogenic. Gall stones are associated with Ca gall bladder. In over 95% cases gall stones are found associated with Ca G.B. Patients with diabetes mellitis, have increased risk of developing gall stones due to increased cholesterol level in bile reduced bile acid pool decreased gall bladder motility Percentage of gall stones which are radiopaque - 10% Ref : Bailey & love 25/e p1120